Caspase are involved in
1. Nerve processing
2. Cell signaling
3. Inflammation
4. Apoptosis

Correct answer: 4. Apoptosis

Explanation: The activation of the caspase cascade is the most central step in apoptosis.